Which of the following are referred to as "Ivory Towers of Disease":
1. Small health centres
2. Large hospitals
3. Private practitioners
4. Health insurance companies

Correct answer: 2. Large hospitals

Explanation: - Hospitals are known as 'Ivory Towers of Disease', as they exist in Spending isolation in the community Absorb vast proportion (50-80%) of the health budget Not people oriented, are inflexible in procedures, styles and treatment is expensive it overlooks the cultural aspects of illness (treating the disease without treating the patient)